All arteries involved in anastomosis around scapula except
1. Circumflex scapular
2. Suprascapular
3. Infrascapular
4. Tansverse cervical

Correct answer: 3. Infrascapular

Explanation: ANASTOMOSIS AROUND SCAPULA: Anastomosis occurs in the three fossae, subscapular, supraspinatus, and infraspinatus. It is formed by Suprascapular artery, a branch of the thyrocervical trunk Deep branch of the transverse cervical artery, another branch of the thyrocervical trunk Circumflex scapular artery, a branch of the subscapular artery which arises from the 3rd part of the axillary artery. Note that this is an anastomosis between branches of the first part of the subclavian artery and branches of the third part of axillar. ANASTOMOSIS AROUND THE ACROMIAN PROCESS: the acromial branch of the thoracoacromial artery. the acromial branch of the suprascapular artery. the acromial branch of the posterior circumflex humeral artery. REF: BD Chaurasia 7th edition Page no: 76.